Drug of choice for Steroid Resistant Nephrotic Syndrome is
1. Cyclophosphamide
2. Mycophenolate mofetil
3. Prednisolone
4. Tacrolimus

Correct answer: 4. Tacrolimus

Explanation: Drug of choice for Steroid Resistant Nephrotic Syndrome is Calcineurin Inhibitors like Cyclosporine A or Tacrolimus.